Significant variations in attainment of milestones in different developmental domains is called:
1. Delay
2. Dissociation
3. Deviancy
4. Disability

Correct answer: 2. Dissociation

Explanation: Significant variations in attainment of milestones in different developmental domains is called 'Dissociation'. Deviance- Acquisition of milestones in a sequence that is different from the usual Ex: Walking may come before crawling in cerebral palsy. Delay is when child does not reach their developmental milestones at the expected time. Developmental disabilitiesare a group of conditions due to an impairment in physical, learning, language, or behavior areas.